The iron preparation that can be given intravenously is -
1. Ferrous sulphate
2. Iron dextran
3. Iron sorbitol citric acid complex
4. Colloidal ferric hydroxide

Correct answer: 2. Iron dextran

Explanation: Ans. is 'b' i.e., Iron dextran o Iron dextran can be given i.m. or i.v., while iron-sorbitol-citric acid is given only i.m.